Gartner's cyst seen on
1. Vagina
2. Cervix
3. Body of uterus
4. Fallopian tube

Correct answer: 1. Vagina

Explanation: (A) Vagina# Gartner's duct cysts (mesonephric cysts) are simple cysts of the vagina that are usually asymptomatic, and are often noted incidentally during a routine pelvic exam.> The embryologic structure from which Gartner's duct cysts arise is known as the remnant of the mesonephric duct (or wolffian duct) which courses along the outer edge of the vagina.> During embryologic development in both the male and female, there are initially two pairs of ducts. In females the Mullerian ducts (also known as the paramesonephric ducts) persist and go on to form major parts of the female genital tract including the fallopian tubes, uterus, and part of the vagina. The wolffian ducts (also known as the mesonephric ducts) regress and eventually almost completely disappear. In males the wolffian ducts persist and form parts of the male genital tract, while the Mullerian ducts regress. In the female, the mesonephric ducts lie parallel to the Mullerian ducts.> Gartner's duct cysts are usually found alongside the mesonephric ducts. Occasionally these cysts may enlarge and ultimately require excision (surgical removal). Although these cystic structures may be found anywhere along the tract of the duct, their location is most commonly in the vaginal area.